By three cerebellar peduncles, the cerebellum is attached to -a) Spinal cordb) Medullac) Cerebrumd) Midbraine) Pons
1. abc
2. ade
3. bde
4. bce

Correct answer: 3. bde

Explanation: Three cerebellar peduncles connect the cerebellum with three parts of brain stem, i.e. midbrain, pons, and medulla.